Homer Wright rosettes are seen in
1. Neuroblastoma
2. Nephroblastoma
3. Ependymoma
4. Rhabdomyosarcoma

Correct answer: 1. Neuroblastoma

Explanation: Examples of tumors containing these are neuroblastoma, medulloblastoma, Pinealoblastoma, and primitive neuroectodermal tumors of bone(Ewing sarcoma). Refer robbins 9/e p844